Maximum density of goblet cells is seen in:
1. Superior conjunctiva
2. Inferior conjunctiva
3. Nasal conjunctiva
4. Temporal conjunctiva

Correct answer: 3. Nasal conjunctiva

Explanation: C i.e. Nasal conjunctiva Goblet cells are the chief source of tear mucus Q. These occur throughout the conjunctiva, especially the plica semilunaris.